Which direct retainer is indicated in the case of an isolated, mesially inclined molar?
1. 1/2 and 1/2 clasp
2. Ring clasp
3. Bar clasp
4. C-clasp

Correct answer: 2. Ring clasp